How many mm from the limbus is the safest site of intravitral injection?
1. 1-2mm
2. 2-3mm
3. 3-4mm
4. 4-5mm

Correct answer: 3. 3-4mm

Explanation: Intravitreal injection (Distance from Limbus) 1) For aphakics - 3mm 2) For pseudophakes - 3.5mm 3) For phakics - 4mm Ref: American academy of ophthalmology -EYE Wiki